Most common position of appendix is
1. Pre ilial
2. Post ilial
3. Pelvic
4. Retro caecal

Correct answer: 4. Retro caecal

Explanation: The tip of the appendix can have a variable position within the abdominal cavity : retro-caecal (65-70%) pelvic (25-30%) pre- or post-ileal (5%) Ref - BDC 6e vol2 pg269